All are infraclavicular branches of brachial plexus except?
1. Ulnar nerve
2. Long thoracic nerve
3. Axillary nerve
4. Thoracodorsal nerve

Correct answer: 2. Long thoracic nerve

Explanation: The long thoracic nerve arises from the root stage of the brachial plexus. They are present behind the scalenus anterior and scalenus medius in the neck. The ulnar nerve is a branch of the medial cord. The thoracodorsal and axillary nerve are branches of the posterior cord. The cords of the brachial plexus are formed in the cervicoaxillary canal and hence are infraclavicular in position Reference: Clinical Anatomy for students, a problem-solving approach, Neeta v Kulkarni, 2nd edition, page no.98, 99